Atropine is used in all EXCEPT:
1. Glaucoma
2. Mydriatic
3. Cyclopegic
4. Preanaesthetic medication

Correct answer: 1. Glaucoma

Explanation: ANSWER: (A) GlaucomaREF: KDT 5th edition p. 98Uses of atropine * Preanaesthetic medication* Antispasmodic* Mydriatic* Cycloplegic* Vagolytic* Belladonna poisoningContraindications of atropine:* Narrow angle glaucoma* BPH